All of the following are true about Zenker's Diverticulum except:
1. It is an acquired condition
2. It is a false diverticulum
3. Barium swallow, lateral view is the IOC
4. Out pouching of anterior pharyngeal wall above cricopharyngeus muscles

Correct answer: 4. Out pouching of anterior pharyngeal wall above cricopharyngeus muscles

Explanation: (d) Out pouching of anterior pharyngeal wall above cricopharyngeus muscles(Ref. Scott Brown, 8th ed., Vol 3; 813)In Zenker's diverticulum there is out pouching of posterior hypopharyngeal wall above cricopharyngeus sphincter.